Cobblestone appearance of conjunctiva is typically seen with -
1. Phlyctenular conjunctivitis
2. Foreign body
3. Spring catarrh
4. Trachoma

Correct answer: 3. Spring catarrh

Explanation: Cobble-stone or pavement stone appearance is seen in spring catarrh. Reference : Parson's 22nd edition page 180-181